Hassall's corpuscles are seen in:
1. Thymus
2. Spleen
3. Lymph node
4. Appendix

Correct answer: 1. Thymus

Explanation: A - D.I Fiores Atlas of histology, p. 130